A 40 year old male reported with recurrent episodes of oral ulcers, large areas of denuded skin and flacid vesiculo-bullous eruptions. Which is the most important bed-side investigation helpful in establishing the diagnosis -
1. Gram staining of the blister fluid
2. Culture and sensitivity
3. Skin biopsy and immunoflurescence
4. Tzanck smear from the floor of bulla

Correct answer: 4. Tzanck smear from the floor of bulla

Explanation: D. i.e. Tzank smear